Adrenaline is secreted by ?
1. Anterior pituitary
2. Posterior pituitary
3. Adrenal cortex
4. Adrenal medulla

Correct answer: 4. Adrenal medulla

Explanation: Ans. is 'd' i.e., Adrenal medulla